Diffuse mesangial and paramesangial dense deposits on electron microscopy are seen in
1. Minimal change disease
2. Membranoproliferative glomerulonephritis
3. Ig A nephropathy
4. Dense deposit disease

Correct answer: 3. Ig A nephropathy

Explanation: Findings on electron microscopyMinimal change diseaseNo deposits are seenMPGN Type ISubendothelial dense depositsMPGN Type IIDense deposits on basement membraneIgA NephropathyType of diffuse mesangioproliferative glomerulonephritis with the involvement of mesangial cells and matrix without the involvement of capillary walls or luminaReference: Rosai and Ackerman's surgical pathology; 10th edition; Volume I; Page no: 1131